According to triage patient having visible bleeding should be treated in:
1. Emergency.
2. Delayed.
3. Minimal treatment.
4. No treatment.

Correct answer: 1. Emergency.